Which single rooted tooth will most commonly have an abnormal 2nd canal
1. Lower Canine
2. Lower First premolar
3. Lower 2nd premolar
4. Upper 1st premolar

Correct answer: 2. Lower First premolar